ACTH producing lung carcinoma
1. Small cell CA
2. Squamous cell CA
3. Mesothelioma
4. Bronchoadenocarcinoma

Correct answer: 1. Small cell CA

Explanation: Ans. is 'a' i.e., Small cell carcinoma